Which organ has dual blood supply
1. Liver
2. Pancreas
3. Testes
4. Duodenum

Correct answer: 1. Liver

Explanation: A i.e. Liver